BRCA2 not associated with
1. breast cancer
2. Prostate cancer
3. Ovarian cancer
4. Vulval cancer

Correct answer: 4. Vulval cancer

Explanation: Ans. is 'd' i.e., Vulva! cancer